A 19-year-old woman presents to the emergency department complaining of cauliflower-like lesions on her vulva. They have been present for several months but are now beginning to interfere with intercourse. You diagnose genital warts. Which viral subtypes are responsible for most cases of this disease?
1. Types 6 and 11
2. Types 6 and 18
3. Types 11 and 16
4. Types 11 and 31

Correct answer: 1. Types 6 and 11

Explanation: Ans. (a) Types 6 and 11. Source- Obstetrics and Gynecology - Charles R B Beckmann 6th edition. Page 255.Low risksubtypes, such as 6 and 11, are typically associated withgenital condyloma. High-risk subtypes, such as 16, 18, 31, 33,and 45, are so classified because of their association with cervicaldysplasia and cervical cancer. Of the high-risk subtypes, HPV16 and 18 together account for approximately two-thirds ofcervical cancer cases, whereas low-risk HPV subtypes rarelylead to cancer.